A 30 year biker sustained an compound fracture of the leg following RTA. The doctor has labeled it Gustilo Anderson type IIIB. Which of the following would represent the injury:
1. Fracture with open wound less than 1 cm
2. Fracture with open wound of 1-10 cm but soft tissue cover possible
3. Open wound more than 10 cm and soft tissue coverage not possible.
4. Open wound more than 10 cm with arterial injury

Correct answer: 3. Open wound more than 10 cm and soft tissue coverage not possible.

Explanation: Ans. C. Open wound more than 10 cm and soft tissue coverage not possible.Gustilo Anderson ClassificationType IWound <=1cm, minimal contamination or muscle damageType IIWound 1-10cm, moderate soft tissue injuryType IIIAwound usually >10cm, high energy, extensive soft-tissue damage, contaminatedadequate tissue for flap coveragefarm injuries are automatically at least Gustillo IIIAType IIIBextensive periosteal stripping, wound requires soft tissue coverage (rotational or free flap)Type IIICvascular injury requiring vascular repair, regardless of degree of soft tissue injuryMost accurate way to grade open fractures is by intra-operative examination